All are true about anterior cruciate ligament except?
1. Commonly occurs as a result of twisting force
2. May be associated with Segond fracture
3. Rarely associated with meniscal injury
4. Lachman test is highly sensitive test for tear

Correct answer: 3. Rarely associated with meniscal injury

Explanation: Ans.(c) Rarely associated with meniscal injurySymptoms:Signs and symptoms of an ACL injury usually include:A loud "pop" or a "popping" sensation in the kneeSevere pain and inability to continue activityRapid swellingLoss of range of motionA feeling of instability or "giving way" with weight bearing ComplicationsHigher risk of developing osteoarthritis in the knee. Arthritis may occur even if you have surgery to reconstruct the ligament.Segond fracture due to avulsion at the anterolateral capsular attachment. Segond fractures have a very high association with ACL tears and, meniscal injuries Diagnosis:Injury to tear of anterior cruciate ligament can be detected using lachman and anterior drawer test.Lachmann test is a similar test to anterior drawer test in which anterior glide of the tibia is judged with the knee in 10-15 degrees of flexion.